Myelin sheath in the central nervous system is formed by
1. Schwann cell
2. Microglia
3. Oligodendrocytes
4. Protoplasmic astrocytes

Correct answer: 3. Oligodendrocytes

Explanation: Oligodendrocytes are responsible for myelination in the CNS. In the PNS, Schwann cells form the myelin sheath. The process of myelination begins before birth and is not complete until a year or more after birth. (Ref: Vishram Singh textbook of neuroanatomy, second edition, pg- 19)